Glycine is required in formation of all except -
1. Heme
2. Purines
3. Glutathione
4. Thyroxine

Correct answer: 4. Thyroxine

Explanation: Ans. is 'd' i.e.. ThyroxineGlvcineo Glycine is a nonessential amino acid which is synthesizedfrom serine. Glycine is metabolized by following three pathways -It can be converted to serine, a reaction that require tetrahydrofolate (derivative of folic acid and pyridoxal phosphate as coenzyme. Further serine is metabolized by serine dehydratase into pyruvate and NH f.The major pathway of glycine degradation is oxidative cleavage into CO, and NH4' by glycine cleavage complex of liver. H4 folate is required which is converted to N5, N10- methylene H4 folate. Thus folic acid is required for glycine metabolism.Glycine may be oxidatively deaminated by glycine oxidase to glyoxylic acid.o Glycine is necessary for the formation of following products:- Heme^ purine ring, bile acids conjugation (formation of glycocholic acid, and glyco-chenodeoxycholic acid), creatine, glutathione, glucose (by gluconeogenesis).